Pregnancy leads to development of?
1. Respiratory alkalosis
2. Respiratory acidosis
3. Metabolic acidosis
4. Metabolic alkalosis

Correct answer: 1. Respiratory alkalosis

Explanation: Pregnancy- | RR- CO2wash out resulting in Respiratory alkalosis Respiratory acidosis- due to CO2retention